Anti-D immunoglobulin should be considered for Rh-negative women in which of the following settings
1. Threatened abortion
2. First - trimester MTP
3. Post - evacuation of molar pregnancy
4. All of the above

Correct answer: 4. All of the above

Explanation: All of the above is most appropriate answer although with regard to threatened abortion it is controversial.